Most sensitive to hypoxia among the following?
1. Neuron
2. Liver cell
3. Stem cell
4. Muscle cell

Correct answer: 1. Neuron

Explanation: Besides its immediate effects, hypoxiacauses delayed functional and metabolic disturbances which may even progress to celldeath. The brain regions most sensitive to this type of injury are parts of the hippocampus, the dorsolateral caudate nucleus and the reticular nucleus of thalamus. impaired by reducing blood flow in the first place, e.g. by occluding a supplying brain artery. With declining flow values metabolic and electrophysiological functions stepwise disappear according to the threshold concept of brain ischemia: first the most complex functions such as protein synthesis or the spontaneous electrical activity are suppressed, followed at much lower flow values by the breakdown of energy state and the depolarisation of cell membranes ref Robbins 9/e p16 from tissue injury and cell death and internet